Conticosteroids are absolutely contraindicated in the following type of tuberculosis:
1. Miliary
2. Meningeal
3. Intestinal
4. Renal

Correct answer: 3. Intestinal

Explanation: (Ref: KDT 6/e p749) Corticosteroids are absolutely contra-indicated in intestinal TB due to risk of perforation.